What is ultimate strength:
1. Stress at the point of fracture.
2. Total energy stored in the body at the point of fracture.
3. Maximum stress beared by body before fracture.
4. None of the above.

Correct answer: 3. Maximum stress beared by body before fracture.

Explanation: option A is fracture strength.
Option B is toughness